The mechanism by which specific information encoded in a nucleic acid chain in a virus transferred to mRNA in known as -
1. Transcription
2. Translation
3. Transformation
4. Transduction

Correct answer: 1. Transcription

Explanation: TRANSCRIPTION of messenger RNA (mRNA) from the viral viral nucleic acid REF:Ananthanarayan & Panicker's Textbook of Microbiology 8th edition pg no:430